Which may be the first indication of clinical immunodeficiency in HIV infected patients?
1. Vitiligo
2. Hairy Leukoplakia
3. Lupus vulagris
4. Herpes Zoster

Correct answer: 4. Herpes Zoster

Explanation: Reactivation syndrome of varicella-zoster virus indicates a modest decline in immune function and may be the first indication of clinical immunodeficiency. Reactivation of herpes zoster (shingles) is seen in 10-20% of patients with HIV infection. Valacyclovir, acyclovir, or famciclovir is the TOC. Foscarnet may be of value in patients with acyclovir-resistant virus.